What is the BMI of a 46 year old man with a weight of 98kg for a height of 175cms?
1. 28
2. 32
3. 36
4. 40

Correct answer: 2. 32

Explanation: Body mass index is defined as the individual's body weight divided by the square of his or her height. BMI = weight (kg)/(height (m))2 = 98/(1.75)2 = 32 WHO criteria for Obesity: Category Body Mass Index Underweight Normal weight Overweight Obesity class I Obesity class II Obesity class III < 18.5 18.5-24.9 25-29.9 30.0-34.9 35.0-39.9 > 40